Rachitic rosary is a feature of:
1. Rickets
2. Scurvy
3. Osteomalacia
4. Osteoporosis

Correct answer: 1. Rickets

Explanation: Ans. A i.e. Rickets Rickets Pathology: Defective mineralization of osteoid/ bones & cartilage Features: - Craniotabes, - Wide open fontanelle, - Rachitic rosary (Enlargement of costochondral junction) X-ray appearances: - Widening & thickening of epiphysis, Cupping & fraying of metaphysis